A 5 year boy has recurrent multiple asymptomatic oval and circular faintly hypopigmented macules with fine scaling on his face. The most probable clinical diagnosis is:
1. Ptyriasis versicolor
2. Indeterminate leprosy
3. Ptyriasis alba
4. Acrofacial vitiligo

Correct answer: 3. Ptyriasis alba

Explanation: C i.e. Ptyriasis alba